Pathological feature characteristic of Parkinson's disease is?
1. Neurofibrillary tangles
2. Amyloid plaque
3. Lewy bodies
4. All of these

Correct answer: 3. Lewy bodies

Explanation: Lewy bodies REF: Robbins 7th edition page 1351, 1391 "In Parkinson's disease, on microscopic examination, there is loss of pigmented catecholaminergic neurons in these regions associated with gliosis. Lewy bodies may be found in some of the remaining neurons. These are single or multiple, cytoplasmic, eosinophilic, round or elongated inclusions that often have a dense core surrounded by a pale halo" "Major microscopic abnormalities ofAlzeimer's disease are neuritic (senile) plaques, neurofibrillary tangles and amyloid angiopathy" NEURODEGENETATIVE DISEASES ASSOCIATED WITH AGGREGATED PROTEINS: Disease Protein Normal structure Aggregate/Inclusion Location Prion disease Prion protein (PrP) a helix & random coil /3-pleated sheet, proteinase K-resistant Extracellular Alzheimer disease Amyloid precursor protein a helix & random coil /3-pleated sheet, amyloid (fragment of APP) Extracellular Tauopathies and Alzeimer disease Tau (microtubule binding protein) 3 & 4 repeat isoforms Hyperphosphorylated aggregated proteins Intracellular Parkinson's disease a-Synuclein Random coil, Repeats Aggregated, Lewy bodies Cytoplasmic Multiple system atrophy a-Synuclein Random coil, Repeats Aggregated glial cytoplasmic inclusions Cytoplasmic Huntington disease Huntingtin Trinucleotide repeats Insoluble aggregates Nuclear Spinocerebellar ataxia Ataxins Trinucleotide repeats Insoluble aggregates Nuclear